Which is ssrna unenvloped virus -
1. HBV
2. HEV
3. I-ICV
4. None

Correct answer: 2. HEV

Explanation: Ans. is 'b' i.e., HEV HEV and HAV are non-enveloped RNA viruses.